The frequently occuring value in a data is
1. Median
2. Mode
3. Standard deviation
4. Mean

Correct answer: 2. Mode

Explanation: Mode is the commonly occurring value in the distribution of data . Advantages : easy to understand and is not affected by extreme values Disadvantages : exact location is uncertain and often not clearly defined Ref : Park's Textbook of Preventive and Social Medicine; 23rd edition - Pgno. 847